Pseudosulcus in larynx:
1. Vocal abuse
2. Tuberculosis
3. Laryngopharyngeal reflux
4. Chronic steroid use

Correct answer: 3. Laryngopharyngeal reflux

Explanation: Ans. c. Laryngopharyngeal relies (Ref: Ballenger's Otorhinolaryngology 17/e p886; Head and Neck Surgery (Otolaryngology) by Bailey 4/833, 834)Pseudosulcus vocalis or laryngeal pseudosulcus is a variable finding in patients with laryngopharyngeal reflux. This sulcus is believed to arise from reflux induced swelling in the subglottic area and is located between the true vocal cords and the subglottic swellingQ.Laryngeal sulcusLaryngeal Pseudosulcus (Pseudosulcus Vocalis)Laryngeal True sulcus (Sulcus Vergeture)* This sulcus is believed to arise from reflux induced swelling in the subglottic area secondary to laryngotracheal refluxQ.* Located between the true vocal cords and the subglottic swellingQ.* True sulcus is related to scarring of the vocal folds in the phonatory striking zoneQ.* Located within the true vocal folds at the site of the adherence of vocal fold epithelium to the vocal ligamentQ.